Use of GnRH analogue is ?
1. Galactogenesis
2. PCOD
3. Contraception
4. None

Correct answer: 2. PCOD

Explanation: Ans. is 'b' i.e., PCOD GnRH agonists Long acting GnRH (LHRH) agonists causes reversible pharmacological orchiectomy (medical castration) and are used for precocious puberty, prostatic carcinoma, endometriosis, premenopausal breast cancer, uterine leiomyoma, polycystic ovarian disease and to assist induced ovulation. Superactive/Long acting GnRH are used as nasal spray or SC injection. Cetrorea, ganirelix and abarelix are GnRh antagonists. These are used subcutanously for the treatment of uterine fibroid & endometriosis and for controlled ovarian stimulation in in-vitro fertilization. Preparation of superactive GnRH analogs is Buserelin, Goserelin, Leuprolide, Nafarelin, Triptorelin.